Which of the following is Not a mediator of inflammation:
1. TNF
2. Interferon
3. Prostaglandin
4. Myeloperoxidase

Correct answer: 4. Myeloperoxidase